A 35 year female comes with Size 5 cm tumour of the oral cavity + single lymph node of 2 cm diameter on the same side in the neck is staged as
1. T2NI MO
2. T3 NI MO
3. T2 N2 MO
4. TI NI MO

Correct answer: 2. T3 NI MO

Explanation: TNM staging of oral cancer :
Tx : Cannot be assessed e.g. already excised.
T0 : No evidence of primary tumor (occult primary).
Tis : Carcinoma in - situ.
T1 : Equal to or less than 2 cm in greatest dimension.
T2 : More than 2 cm. bul less than or equal to 4 cm.
T3 : More than 4 cm.
T4a : Moderately advanced local disease :
Lip and check - involvement of cortical bone, skin, inferior alveolar nerve.
Tongue - extrinsic muscles, skin.
T4b : Very advanced local disease :
Check - involvement of masticatory space, base of skull, internal carotid artery.
Internal carotid artery.
TNM staging of cavity tumors. Status of lymph nodes 'N' :